Growth of Condyle is by
1. Membranous growth
2. Interstitial growth
3. Cartilaginous proliferation
4. Bony Apposition

Correct answer: 3. Cartilaginous proliferation